Drug not contraindicated in a pregnant lady for Hypertension:
1. Sodium nitroprusside
2. Hydralazine
3. ACE inhibitors
4. Indapamide

Correct answer: 2. Hydralazine

Explanation: Ans. B: Hydralazine Intravenous form of hydralazine is useful when treating severe hypertension due to preeclampsia/eclampsia. It has got a long record of safe use during pregnancy, but troublesome adverse effects occur. It decreases systemic resistance through direct vasodilation of arterioles.